Qualitative data presentation diagrams are all except:
1. Pie diagram
2. Pictogram
3. Spot map
4. Frequency polygon

Correct answer: 4. Frequency polygon

Explanation: Data Presentation